Post-traumatic stress disorder is characterized by all Except
1. Flash back and night mare
2. Severe traumatic life event
3. Re-experiencing stressful events
4. It develops after 6 months of stress

Correct answer: 4. It develops after 6 months of stress

Explanation: Symptoms of PTSD develop within 6 months of stressor, however, 10% of patients have delayed the onset Reference: Kaplon and sadock, 11 th edition, synopsis of psychiatry, 11 th edition, pg no. 437